The most common reentrant tachycardia associated with WPW syndrome is
1. Orthodromic re-entry
2. Antidromic re-entry
3. Rapidly conducting AF
4. Ventricular tachycardia

Correct answer: 1. Orthodromic re-entry

Explanation: The most common tachycardia caused by an APRT is the PSVT designated orthodromic AV reentry. The circulating reentry wavefront propagates from the atrium anterogradely over the AV node and His-Purkinje system to the ventricles and then reenters the atria retrograde conduction over the APRT Ref Harrison 20th edition pg 1482